Frequency for trans vaginal USG for obstetric purpose
1. 3 - 5 MHz
2. 5 -7.5  MHz
3. 7.5 - 20  MHz
4. > 20 MHz

Correct answer: 2. 5 -7.5  MHz

Explanation: Transabdominal USG - 3 - 5 MHz.
Trans vaginal USG - 5 - 7.5 MHz.